According to Atwood residual ridge classiﬁcation order V denotes:
1. High well-rounded ridge
2. Low well-rounded ridge
3. Knife-edge ridge
4. Depressed ridge

Correct answer: 2. Low well-rounded ridge

Explanation: Order I – Pre-extraction-alveolus bearing tooth
Order II – Post-extraction-alveolus after extraction
Order III – High, well rounded-high alveolar process
Order IV – Knife-edge-High, narrow alveolar process
Order V – Low, well-rounded-rounded flat alveolar process
Order VI – Depressed-concave flat alveolar process.